Number of air changes in one hour in a drawing room should be not less than
1. 3
2. 2
3. 4
4. 5

Correct answer: 2. 2